True regarding coronary circulation is
1. Dominance affects anterior surface
2. Most are left dominant
3. Left artery supplies more tissue in right dominance
4. Dominance is dependent on nodal and marginal artery

Correct answer: 3. Left artery supplies more tissue in right dominance

Explanation: C i.e. Left artery supplies more tissue in right dominance Right coronary artery arise from anterior aortic sinus, has lesser diameter (than LCA), supplies major part of right ventricle & right atriumQ. RCA gives rise to acute marginal, right conus (infundibular), posterior interventricular /descending (in most 67-90% cases and these are k/a right dominant), and nodal artery (in 65% cases). Whereas Left coronary artery (LCA) gives rise to Circumflex Coronary, Obtuse marginal, left diagonal, and anterior interventricular(descending) artery. (Mn-"COLA or COLDArin")A single (not 3) marginal artery arise from left circumflex artery QIn 'right dominance' the posterior interventricular (descending) artery is derived from right coronary artery (67%)Q;in left dominance' it is a branch of circumflex, branch of left coronary artery. (15%)Q. In a 'Co- dominant or balanced' pattern, branches of both left & right coronary artery run in or near the posterior interventricular groove (18%).Term dominance is misleading as the left artery almost always supplies a greater volume myocardiumQ.Occlusion of anterior descending branch of LAD will cause infarction of anterior wall of left ventricleQ